A baby on examination shows unilateral moro's reflex with positive palmar grasp reflex. The site of lesion is :
1. C3 - C4
2. C5 - C6
3. C8 - C1
4. C1 - C2

Correct answer: 2. C5 - C6

Explanation: Ans. is 'b' C5-C6 Moro's reflex is a neonatal reflex which develops by 28th wk of gestation and disappears by 12 wks of age.Moro reflex is obtained by placing the infant in semi-upright position, then the head is momentarily allowed to fall backward with immediate re-support by the examiner's hand.The child symmetrically abducts and extends the arms and flexes the thumbs, followed by flexion and adduction of upper extremities.Unilateral Moro's reflex is seen in :Erb s palsy (C5-CJ damageSpastic hemiplegia*Fracture of humerus or clavicle *.Exaggerated Moro's reflex is seen in - cerebral damage*.Some important facts about neonatal reflexes :Sucking reflex* - observed by 14 wks of gestation.Rooting reflex* - develops by 28 wks gestation.Palmar grasp reflex* -develops by 28 wks and disappears by 4 months of age.Toxic neck reflux - disappears by 8 months of age.